Not true about development of ovary ?
1. Develops in genital ridge
2. Sex cords are derived from coelomic epithelium
3. Oocytes are mesodermal in origin
4. At birth ovary contains 2 million follicles

Correct answer: 3. Oocytes are mesodermal in origin

Explanation: Development of ovary Coelomic epithelium on medial side of the mesonephros becomes thickened to form genital ridge, the site where ovary develops. Genital ridge is covered by germinal epithelium (previous coelomic epithelium). From these germinal epithelium, cords of cells (sex cords or medullary cords) proliferate and grow into the underlying mesoderm. Primordial germ cells which are developed from endodermal cells of hindgut (part of yolk sac), migrate to region of developing ovary (genital ridge area) and give rise to oocytes. The sex cords become broken up into small masses. The cells of each mass surround one oocyte to form primordial follicle. At birth each ovary contains about 2 million primary follicles.